Urogenital Diaphragm is made up of the following except -
1. Deep transverse Perinei
2. Perineal membrane
3. Colle's fascia
4. Sphincter Urethrae

Correct answer: 3. Colle's fascia

Explanation: Urogenital diaphragm
-        Muscles

   Sphincter urethrae
   Deep transverse perinei

-        Fascia

   Superior fascia of urogenital diaphragm
   Inferior fascia of urogenital diaphragm